The following statement about ocular effects of congenital rubella syndrome is false
1. Myopia is common
2. Lamellar cataract is not most common
3. Ocular defect typically occurs with infection in the first trimester
4. It can cause salt and pepper fundus

Correct answer: 1. Myopia is common

Explanation: Ans. (a) Myopia is commonRef: Ghai pediatrics, p. 206Option a - CRS is associated with Micro-ophthalmia, thus causing Hypermetropia due to decreased axial lengthOption b - Lamellar cataract is found in CRS. Nuclear cataract is most common.Option c - Risk to the fetus closely related to the stage of gestation at the time of maternal infection, about 50% during first 8 weeks, 10% between 13 and 24 weeksOption d - It causes 'non-progressive' salt and pepper fundus.